Shape of normal distribution curve?
1. J shape
2. U shape
3. Bell shape
4. None

Correct answer: 3. Bell shape

Explanation: Ans. is 'c' i.e., Bell shape o Standard normal curve (Gaussian distribution) is bell shape curve.